A 40-year-old woman presents with a 2-month history of burning epigastric pain that usually occurs between meals. The pain can be relieved with antacids or food. The patient also reports a recent history of tarry stools. She denies taking aspirin or NSAIDs. Laboratory studies show a microcytic, hypochromic anemia (serum hemoglobin = 8.5 g/dL). Gastroscopy reveals a bleeding mucosal defect in the antrum measuring 1.5 cm in diameter. An endoscopic biopsy shows that the lesion lacks mucosal lining cells and is composed of amorphous, cellular debris and numerous neutrophils. Which of the following is the most important factor in the pathogenesis of this patient's disease?
1. Achlorohydria
2. Acute ischemia
3. Autoimmunity
4. Helicobacter pylori infection

Correct answer: 4. Helicobacter pylori infection

Explanation: Peptic ulcer disease Caused by H. pylori Breaks in mucosa of stomach & small intestine(proximal duodenum) Eradication of H. pylori infection is curative of peptic ulcer disease in most patients. - Gastrinoma (choice D) is rare cause of peptic ulcers. - Achlorhydria (choice A) cannot cause peptic ulcers. - Autoimmunity (choice C) causes Type A gastritis & is associated with achlorhydria